MgSO4 is/are indicated in
1. Severe pre eclampsia
2. Gestational trophoblastic disease
3. Gestation diabetes
4. Placenta praevia

Correct answer: 1. Severe pre eclampsia

Explanation: The drug of choice for control and prevention of convulsion in eclampsia is magnesium sulphate ,usually given by Pritchard's regime.The mechanism of action thought to have a peripheral action at the neuromuscular junction,by competing with calcium for entry into the cells.It may also have central action. TEXT BOOK OF OBSTETRICS,Sheila Balakrishnan,2nd edition,page no.268